Drug of choice or differential blockade is
1. Lignocaine
2. Ropivacaine
3. Bupivacaine
4. Dibucaine

Correct answer: 2. Ropivacaine

Explanation: Ropivacaine is pure S- isomer of bupivacaine,so less cardiotoxic than bupivacaine. It is drug of choice for differential block.